Most common tumour due to radiation arises from
1. Lung
2. Liver
3. Bone marrow
4. Breast

Correct answer: 3. Bone marrow

Explanation: Ans. is 'c' i.e., Bone marrow o Hematological malignancies e.g., leukemias are the most common radiation induced cancers.